Milk is deficient in:
1. Calcium
2. Vitamin A
3. Vitamin D
4. Iron

Correct answer: 4. Iron

Explanation: Ans: dRef: Park, 17th ed, p. 429, Table (21) & 18th ed, p. 455, Table (21)